Most sensitive test for microfilariae?
1. DEC challenge test
2. Immunofluorescence test
3. Thick films
4. Membrane filter concentration technique

Correct answer: 4. Membrane filter concentration technique

Explanation: Concentration techniques are used when microfilariae concentration is low. So, it is very sensitive test. Types: Knott's concentration technique Nucleopore filtration DEC provocation test